False regarding Primary hyperparathyroidism is
1. Most cases are sporadic
2. It is the earliest and most common manifestation of MEN1 syndrome
3. Autosomal recessive inheritance seen in association with MEN syndrome
4. 80% cases due to enlargement of a single gland or parathyroid adenoma

Correct answer: 3. Autosomal recessive inheritance seen in association with MEN syndrome

Explanation: PHPT results from the enlargement of a single gland or parathyroid adenoma in approximately 80% of cases, multiple adenomas or hyperplasia in 15% to 20% of patients, and parathyroid carcinoma in 1% of patients. Most cases of PHPT are sporadic. It also occurs within the spectrum of a number of inherited disorders such as MEN1, MEN2A, isolated familial HPT, and familial HPT with jaw-tumour syndrome. All of these syndromes are inherited in an autosomal dominant fashion. PHPT is the earliest and most common manifestation of MEN1 and develops in 80% to 100% of patients by age 40 years old.